Which of the following is the most common cause of 1st-trimester abortions :
1. Chromosomal deletions
2. Aneuploidy
3. Chromosomal translocation
4. Tetraploidy

Correct answer: 2. Aneuploidy

Explanation: Ans- B Aneuploidy Overall most common cause- Aneuploidy Most common cause among Aneuploidy types- Trisomy If both Trisomy and Aneuploidy are mentioned - Aneuploidy is the best answer since Trisomy is a type of Aneuploidy.